Which of the following belongs to NaSSA group of drugs?
1. Amoxetine
2. Mirtazapine
3. Duloxetine
4. Venalafaxine

Correct answer: 2. Mirtazapine

Explanation: Ans. is 'b' i.e., Mirtazapine Noradrenergic and specific serotonergic antidepressants (NaSSAs)* They are a class of psychiatric drugs used primarily as antidepressants.* They act by antagonizing the a2-adrenergic receptor and certain serotonin receptors such as 5-HT2A and 5-HT2C, but also 5-HT3, 5-HT6, and/or 5-HT7 in some cases.* By blocking a2-adrenergic autoreceptors and heteroreceptors, NaSSAs enhance adrenergic and serotonergic neurotransmission in the brain involved in mood regulation, notably 5-HT1 A-mediated transmission.* In addition, due to their blockade of certain serotonin receptors, serotonergic neurotransmission is not facilitated in unwanted areas, which prevents the incidence of many side effects often associated with selective serotonin reuptake inhibitor (SSRI) antidepressants.The NaSSAs include the following agents* Aptazapine* Esmirtazapine* Mianserin* Mirtazapine* Setiptiline/teciptiline